Recurrent Giardiasis is associated with:
1. Severe combined immunodeficiency
2. Common variable immunodeficiency
3. Digeorge syndrome
4. C8 deficiency

Correct answer: 2. Common variable immunodeficiency

Explanation: Common variable immunodeficiency is associated with the deficient production of antibodiesThey have a normal number of B lymphocytes but fail to mature into plasma cellsResults in hypogammaglobulinemia, with a reduction in all classes of Ig but sometimes only IgG is reducedVarious disorders associated:Intestinal disorders:Chronic giardiasisIntestinal malabsorptionAtrophic gastritis(with pernicious anaemia)Chronic pulmonary infections:bronchiectasisOthers:can also present with signs and symptoms of lymphoid malignanciesfeverweight lossanaemiasplenomegalylymphadenopathy(ref: Harrison's 18/e p1849, 2059)